First sign after radiation R,, is:
1. Erythema
2. Necrosis
3. Burns
4. Deep ulcer

Correct answer: 1. Erythema

Explanation: Ans. Erythema